Vitreous hemorrhage is caused commonly by:
1. Retinal artery occlusion
2. Retinal vein occlusion
3. Retinitis pigmentosa
4. Retinoblastoma

Correct answer: 2. Retinal vein occlusion

Explanation: Ans. B i.e. Retinal vein occlusion